Exudation of plasma and Leucocytes in acute inflamation is from the -
1. Venules
2. Capillaries
3. Arterioles
4. Arterioles and capillaries

Correct answer: 1. Venules

Explanation: Ans. is 'a' i.e., Venules Post capillary venules are an important point of interchange between the Lumen of the vessels and the surrounding tissue. Moreover both vascular leakage and Leucocyte exudation occur preferrentially in venules in many types of inflammation. Note - In lung the Leucocyte diapedesis also occur in Capillaries.